Highest biological value of protein is seen in -
1. Eggs
2. Fish
3. Soyabean
4. Gram

Correct answer: 1. Eggs

Explanation: Net protein utilization which combines in a single value the biological value and digestibility is 100 for egg compared to 80 for meat and 75 for milk Ref: P.687 25 th edition Park's Textbook of Preventive and Social Medicine